Autoimmune hemolytic anemia is associated with malignancy of which lineage -
1. T cell
2. B cell
3. Pre B cell
4. Pre T cell

Correct answer: 2. B cell

Explanation: Autoimmune hemolytic anemia are seen associated with lymphomas-leukaemias such as CLL, which is a B cell lineage leukemia .

Reference :Harsh mohan textbook of pathology sixth edition pg no 375 & 312.